Mechanism of action of zileuton:
1. Cyclo-oxygenase inhibitor
2. 5-lipo-oxygenase inhibitor
3. 5-phospho-di-esterase inhibitor
4. Prevents mast cell degranulation

Correct answer: 2. 5-lipo-oxygenase inhibitor

Explanation: Ans. B i.e. 5-lip-oxygenase inhibitor